Anti-D immune globulin is administered to Rh-negative women antenatally at
1. 20weeks
2. 24weeks
3. 28weeks
4. 30weeks

Correct answer: 3. 28weeks

Explanation: The antepartum administration of anti-D immune globulin at 28weeks to Rh-negative women decreases the incidence of third-trimester alloimmunization from 18 to 20/1000 to 2/1000 patients.Reference: Practical guide to High-risk pregnancy and delivery; Chapter 14; Rh Alloimmunization